In malaria, sexual cycle -
1. Sporozoite to gametocytes
2. Gametocytes to sporozoite
3. Occurs in human
4. Responsible for relapse

Correct answer: 2. Gametocytes to sporozoite

Explanation: Intermediate host-man Definitive host-mosquito Asexual development-man Sexual development-mosquito Sporozoite infective form.Sporozoites are present in the salivary gland of the mosquito .Man gets infection by the bite of female anopheles mosquito (refer pgno:55 baveja 3 rd edition)